Most common cause of death in PDA is?
1. Cardiac failure
2. Respiratory failure
3. Infective endarteritis
4. Embolization

Correct answer: 1. Cardiac failure

Explanation: Cardiac failure REF: Nelson Textbook of Paediatrics 17th edition page 1611, Manual of Cardiovascular Medicine -Brian P. Griffin Page 458 "With a PDA, congestive heart failure (CHF) can occur because of chronic left heart volume overload. In patients with death related to PDA, CHF is the most common cause" Infective endarteritis (IE) is a fatal complication and the most common cause of death (45%) in patients with patent ductus arteriosus (PDA) before the introduction of antibiotic therapy and surgical closure of the ductus. Wide use of antibiotics and surgical closure of PDA has reduced significantly the incidence of IE in patients with PDA, as well as the mortality rate associated with it. Complications of PDA: Cardiac failure Infective endarteritis Pulmonary or systemic emboli Aneurysmal dilatation of the pulmonary artery or the ductus Calcification of the ductus Noninfective thrombosis of the ductus with embolization Paradoxical emboli. Pulmonary hypertension (Eisenmenger syndrome)